ketamine can be used in all of the situations except
1. Status asthamaticus
2. For analgesia and sedation
3. Obstetric haemorrhage
4. Ischemic heart disease

Correct answer: 4. Ischemic heart disease

Explanation: Ischemic heart disease is contraindicated in ketamine. Cardiovascular - Stimulating effects secondary to direct stimulation of the sympathetic nervous system. thus increasing blood pressure and heart rate it also has direct myocardial depressant effect.